Which of the following best represents 'ranula'?
1. A type of epulis
2. A thyroglossal cyst
3. Cystic swelling in the floor of mouth
4. Forked uvula

Correct answer: 3. Cystic swelling in the floor of mouth

Explanation: Ans. is 'c' ie cystic swelling in the floor of mouth (Ref: S. Das, 3/e, p580; Surgery by Sunil Chumber, 1/e, p641). RanulaIt's a retention cyst of minor salivary glands (glands of Blandin and Nuhn).It presents as a translucent bluish, swelling in the floor of the mouth, lying one side of the midline.When the cyst enlarges to present in the neck it is known as plunging or deep ranula. Treatment consists of complete excision or marsupialization for large cyst.